The short term effects of radiation on a tissue are determined by the sensitivity of its:
1. Mesenchymal cells
2. Ectodermal cells
3. Parenchymal cells
4. None of the above

Correct answer: 3. Parenchymal cells

Explanation: The short-term effects of radiation on a tissue (effects seen in the first days or weeks after exposure) are determined primarily by the sensitivity of its parenchymal cells.
White and Pharoah's Oral Radiology Principles and Interpretation,7th edition